Mechanism of action of maraviroc:
1. Cyt P 450 inhibitor
2. GP 41 inhibitor
3. CCR5 inhibitor
4. GP 120 inhibitor

Correct answer: 3. CCR5 inhibitor

Explanation: Ans. (c) CCR5 inhibitorRef: Mosby drug reference for health professionals 2015 ed / 996* Maraviroc is an anti HIV drug which comes under fusion inhibitor category.* This drug binds to the receptor and inhibits the fusion stage of virus and hence inhibits their speed of replication.* There are two types of fusion inhibitors:Drugs which bind to CCR5 receptorDrugs which bind to GP 41 receptorMaraviroc: active against CCR5 tropic virus.Enfuvirtide: prevents entry of virus into host cell.Can be given orally.Can only be given in s.c. injection form.